Pathognomonic of trachoma is –
1. Bulbar papillae
2. Palpebral papillae
3. Bulbar follicles
4. Palpebral follicles

Correct answer: 3. Bulbar follicles

Explanation: Follicles are seen most commonly on upper tarsal conjunctiva and fornix. Sometimes, follicles are seen on bulbar conjunctiva where they are considered to be pathognomonic of trachoma.
"Follicles may be seen on bulbar conjunctiva (pathognomic of trachoma)".  — Khurana